All the following adverse effects can be caused by Loop Diuretics EXCEPT -
1. Hypercalcemia
2. Hyperglycemia
3. Hypomagnesemia
4. Hyperuricemia

Correct answer: 1. Hypercalcemia

Explanation: Ans. is 'a' i.e., Hypercalcemia